Blood agar is:
1. Enriched media
2. Indicator media
3. Enrichment media
4. Selective media

Correct answer: 1. Enriched media

Explanation: Enriched Media When a basal media is added with additional nutrients such as blood , serum or egg Blood agar Enrichment broth Liquid media added with some inhibitory agents which selectively allow certain organism to grow and inhibit others Selenite F broth Selective media Solid media containing inhibitory substance that inhibit the normal flora present in specimen and allow pathogens to grow LJ Media Indicator media These media differentiate between two group of bacteria, by using an indicator Mac conkey agar